All of the following are true about fibrolamellar carcinoma of the liver except -
1. More common in females
2. Better prognosis than HCC
3. AFP levels always greater than > 1000
4. Occur in younger individuals

Correct answer: 3. AFP levels always greater than > 1000